Imipenem, a newer antibiotic with a broad antibacterial spectrum is coadministered with cilastin because -
1. The combination of these antibiotics is Synergistic against Pseudomonas species
2. Cilastin aids the gastrointestinal absorption of the active moiety, imipenem
3. Cilastin inhibits a Beta-lactamase that destroys imipenem
4. Cilastin inhibits an enzyme in the kidney that destroys imipenem

Correct answer: 4. Cilastin inhibits an enzyme in the kidney that destroys imipenem